Cork-screw appearance of esophagus:
1. Achalasia cardia
2. Cancer esophagus
3. Schatzki ring
4. DES

Correct answer: 4. DES

Explanation: Ans. (d) DESRef: Bailey and Love 26th edition, Page 1017 Diffuse Esophageal Spasm:* Hyper Motility disorder characterized by chest pain and dysphagia* Most common finding is cork screw esophagus in lower 2/3rd esophagus commonly.* Medical treatment is primary: Calcium channel blockers, vasodilators, endoscopic dilatation* Long myotomy up to arch of aorta is done in cases with dysphagia only. Chest pain will not improve with surgery